Which of the following is associated with the development of Chalcosis?
1. Iron
2. Copper
3. Lead
4. Mercury

Correct answer: 2. Copper

Explanation: Chalcosis refers to the specific changes produced by the alloy of copper in the eye. Copper from the alloy are dissociated electrolytically and are deposited under the membranous structure of the eye. Clinical manifestations of chalcosis includes: Kayser Fleischer rings: due to deposition of copper under peripheral parts of Descement's membrane. Sunflower cataract: due to deposition of copper under the posterior capsule of the lens. Deposition of golden plaques at the posterior pole of retina which reflects the light with a metallic sheen. Ref: Comprehensive Ophthalmology By AK Khurana, 4th edn, page 410